Which one of the following is not a Novel biomarker of acute kidney injury ?
1. NGAL
2. Kim - 1
3. Cystain  - C
4. ß - Trace protein

Correct answer: 4. ß - Trace protein

Explanation: ß - Trace protein  is a biomarker of Chronic kidney disease.